Krebs cycle takes place in which layer of epithelium:
1. Stratum corneum
2. Stratum granulosum
3. Stratum spinosum
4. Stratum basal

Correct answer: 4. Stratum basal

Explanation: Because max amount of mitochondria are present in stratum basal.